Putrefaction is a :
1. Perimortem sign of death
2. Immediate sign of death
3. Early sign of death
4. Late sign of death

Correct answer: 4. Late sign of death

Explanation: D i.e. Late sign of death